Endophthalmitis involves inflammation of all of the following, Except
1. Sclera
2. Uvea
3. Retina
4. Vitreous

Correct answer: 1. Sclera

Explanation: A i.e. Sclera Sclera is not involved in endophthalmitis. Involvement of sclera suggests a more severe inflammation or panophthalmitis. Endopthalmitis It is inflammation of one or more coats of the eye and adjacent cavities. Inflammation characteristically involves the inner structures of eye ball i.e. uveal tissue (i.e. iris, ciliary body and choroid) and retina associated with pourine of exudates in the vitreous cavity (vitritis)/ posterior or anterior chamberQ Sclera is sparedQ Most clinicians require a vitritis before calling an ocular inflammation (eg corneal ulcer with hypopyon or iritis with aqueous cells) an endopthalmitis. Panopthalmitis It is inflammation of all three coats of eyeQ (& adjacent cavities i.e. anterior (aqueous) &/or posterior (vitreous) segments). Panopthalmitis often starts as an endopthalmitis that then involves the sclera, tenon's capsuleQ and may also spread to orbital tissue.